Drug capable of causing ocular hypotension with apnoea in infants is
1. Latanoprost
2. Brimonidine
3. Apraclonidine
4. Acetazolamide

Correct answer: 2. Brimonidine

Explanation: Brimonidine * Brimonidine, an alpha 2 selective adrenergic agonist used in treatment of Glaucoma has propensity to cause respiratory depression when used in children. * Brimonidine is notorious in causing CNS depression and apnoea in neonates. Hence, its use in children <2 years of age is contraindicated. * Brimonidine and Apraclonidine are Clonidine derivates - alpha 2 selective adrenergic agonist - reduce intraocular pressure by decreasing aqueous production. * Unlike Apraclonidine, Brimonidine being lipophilic can traverse the blood brain barrier and induce CNS depression. * Brimonidine is administered as topical eye preparation to reduce IOP in ocular hypertension and open angle glaucoma. * Topical Brimonidine gel (0.33%) is also used as a once daily treatment for persistent erythema of rosacea. Ref:- Goodman & Gilman Pharmacological Basis of Therapeutics 13th Ed; Pg num:- 1260